Drug used in type DM 1 apart from insulin
1. Glibenclamide
2. Metformin
3. Pramlintide
4. Empagliflozin

Correct answer: 3. Pramlintide

Explanation: Pramlintide is recently approved to be used for type 1 diabetes apart from insulin. It is given by SC route. It is an amylin analogue. Ref: KD Tripathi 8th ed.